Murmur increasing with Valsalva manouvre -
1. Ventricular septal defect
2. HCM(hypertrophic cardio myopathy)
3. Mitral stenosis
4. Aortic stenosis

Correct answer: 2. HCM(hypertrophic cardio myopathy)

Explanation: Increases 65% of the time with hypertrophic cardiomyopathy; decreased 30% of the time; Increased intensity 65% sensitive and 96% specific for hypertrophic cardiomyopathy as opposed to other lesions Most other murmurs decreased intensity during Valsalva. Physiologic explanation: murmur intensity increases with decreased LV volume because of increased proximity of septum and mitral valve; decreased venous return with Valsalva Ref Harrison 20th edition pg 1446